Cancer caused by chronic parasitic infection -
1. Cholangiocarcinoma
2. Hepatic cell Ca
3. Ca GB
4. Ca pancreas

Correct answer: 1. Cholangiocarcinoma